Ventricular contraction lasts for:
1. Beginning of Q wave to end of S wave
2. Beginning of Q wave to the end of T wave
3. Beginning of P wave to end of T wave
4. Beginning of R wave to the end of T wave, if Q wave is absent

Correct answer: 2. Beginning of Q wave to the end of T wave

Explanation: B i.e. Beginning of Q wave to the end of T wave